Definition of VAP is:
1. Defined as pneumonia occurring 48 hours or more after admission
2. Defined as pneumonia occurring 48 hours or more after intubation
3. Defined as pneumonia occurring within 48 hours of hospital admission
4. Defined as pneumonia occurring within 48 hours of intubation

Correct answer: 2. Defined as pneumonia occurring 48 hours or more after intubation

Explanation: Ventilator-associated pneumonia (VAP) is pneumonia that develops 48 hours or longer after mechanical ventilation is given by means of an endotracheal tube or tracheostomy. Ventilator-associated pneumonia (VAP) results from the invasion of the lower respiratory tract and lung parenchyma by microorganisms. VAP is estimated to occur in 9-27 % of all mechanically ventilated patients, with the highest risk being early in the course of hospitalization